Infant mortality rate does not include
1. Post neonatal mortality
2. Early neonatal mortality
3. Late neonatal mortality
4. Perinatal mortality

Correct answer: 4. Perinatal mortality

Explanation: Ref:Park's Textbook of Preventive and Social Medicine 25th Ed